On Doppler the most ominous sign indicating fetal compromise is :
1. pulsatility index in umbilical artery
2. increased resistance in uterine artery
3. increased PSV in middle cerebral artery
4. Absent diastolic flow in umbilical artery

Correct answer: 4. Absent diastolic flow in umbilical artery

Explanation: Fetuses with absent end diastolic volume have a poorer outcome than those with only reduction in EDF with majority being delivered by Caesarean section.The morbidity from necrotizing enterocolitis and cerebral haemorrhage is also higher. refer pgno:513 sheila textbook of obstetrics 2 nd edition.